Which of the drug Does not have active metabolite
1. Diazepam
2. Propanonol
3. Allupurinol
4. Lisnopril

Correct answer: 4. Lisnopril

Explanation: (Ref KDT 6e p485). Captopril and lisinopril are ACE inhibitors that are not prodrugs. Diazepam produce many active metabolites like.oxazepam. Propranolol can produce 4-hydroxypropanolol .which has b-antagonist activity. Allopurinol gives rise to oxypurinol which can inhibit xanthine oxidase.